Apraxia is a disorder of:
1. Cerebellum
2. Sensory system
3. Motor system
4. Initiating and planning movement

Correct answer: 4. Initiating and planning movement

Explanation: D. i.e. Initiating & planning movements